Dose of i.v. adrenaline in term infant is during neonatal resuscitation -
1. 0.1 - 0.3 ml/kg in 1:1000
2. 0.3 - 0.5 ml/kg in 1:1000
3. 0.1-0.3 ml/kg in 1:10,000
4. 0.3 - 0.5 ml/kg in 1:10,000

Correct answer: 3. 0.1-0.3 ml/kg in 1:10,000

Explanation: Ans. is c i.e., 0.1-0.3 mUkg in 1:10,000 Dose or adrenlaine ? 0.1 ml/kg to 0.3 inlikg diluted (1: I0,000) Routs : (1) Intravenous (umbilical vein) or (2) Endotracheal Indication ? HR < 60/min after 30 sec. of positive pressure ventilation & chest compression